Which method of assessment of quality of proteins gives more complete assessment of protein quality?
1. Biological value
2. Net protein utilization
3. Digestibility co-efficient
4. Aminoacid score

Correct answer: 2. Net protein utilization

Explanation: Ans. b (Net protein utilization) (Ref. Park PSM 22nd/pg. 565)NET PROTEIN UTILIZATION (NPU)NPU =Nitrogen retained by the body-----------------Nitrogen intakex 100# It is a product of digestibility co-efficient and biological value divided by 100.NPU of various eatables:# NPU of rice is 63%# NPU of meat is 85%# NPU of milk is 75%# NPU of Egg is 100%# Wheat-61%# Bengal gram - 61%# Fish NPU - 74%# NPU of average Indian diet =50-80%# Low NPU requires increased protein requirementProtein-Energy RatioPE percent =Energy from protein------------Total energy in dietx 100